Takayasu arteritis involves -
1. Small arterioles
2. Medium to large sized arteries with a small predeliction to branches of aortic arch
3. Femoral and popliteal artery
4. Abdominal Aorta

Correct answer: 2. Medium to large sized arteries with a small predeliction to branches of aortic arch

Explanation: Ans. is B Medium to large sized arteries with a small predeliction to branches of aortic arch Aortoarteritis or Takavasu's ds o Takayasu arteritis is granulomatous vasculitis of large and medium arteries. It is characterized principally by ocular disturbance and marked weakening of pulses in the upper extremities - Pulseless disease. It is also characterized by a strong predilection for aortic arch and its branches - Aortic arch syndrome o It is more common in Adolescent girls and young women. Morphological changes in vessel wall are same as in giant cell arteritis. o Subclavian artery is involved most commonly, causing arm claudication, lower BP and weaker pulse in upper limb than lower limb. Other vessels involved are common carotid, abdominal aorta, coeliac, superior mesenteric, renal, vertebral, iliac, pulmonary, and coronary arteries.